Which of the following describes a CKD patient mentioned as G4 A2?
1. GFR between 15-29 ml/min/1.73 m2 and albumin creatinine ratio of 30-300 mg/g
2. GFR between 30-44 ml/min/1.73 m2 and albumin creatinine ratio of 30-300 mg/g
3. GFR between 45- 59 ml/min/1.73 m2 and albumin creatinine ratio of 3-30 mg/g
4. GFR between 60-89 ml/min/1.73 m2 and albumin creatinine ratio of 3-30 mg/g

Correct answer: 1. GFR between 15-29 ml/min/1.73 m2 and albumin creatinine ratio of 30-300 mg/g

Explanation: Grades of Kidney Malfunction GFR 1 > 90 ml/ min / 1.73 m2 2 60 - 89 ml 3 30 - 59 ml 4 15 - 29 ml 5 < 15 ml Albuminuria A1 3-30 mg/g A2 30-300 A3 > 300